Presenting symptom of nasal myiasis is
1. Severe irritation with sneezing
2. Maggots
3. Nasal pain
4. Impaired olfaction

Correct answer: 1. Severe irritation with sneezing

Explanation: Clinical features of nasal myiasisInitial symptoms (3-4 days maggots):- Intense irritation, sneezing, headache, blood stained discharge, lacrimationLater:- Maggots may crawl out of the nose and there is a foul smellRef: PL Dhingra, Diseases of Ear, Nose & Throat, 7th edition, pg no. 181 - 182